Ratio of doors and windows to the floor for a classroom should be at least:
1. 20%
2. 25%
3. 30%
4. 35%

Correct answer: 2. 25%

Explanation: Ans. B: 25% Healthful school environment: Location-well connected Site-10 acres for higher elementary schools and 5 acres for primary schools with an additional 1 acre of land per 100 students. Structure-if possible, single storied and exterior wall thickness should be 10 inches Class room-No class room should accommodate more than 40 students. Per capita space for students in a class for students should not be less than 10 sq.ft. Furniture-if possible, single desks and chairs. Doors and windows-Combined door and window area should be at least 25% of the floor space, provision of cross ventilation and ventilators should not be less than 2% of the floor area. Colour-inside colour of the class room should be white Sufficient natural light Water supply Eating facilities Lavatory-1 urinal for 60 students and 1 latrine for 100 students.